Low-pressure receptors that play role in Minimal arterial pressure changes, due to volume changes are located in
1. Left Atrium
2. Right Atrium
3. Pulmonary arteries
4. All of above

Correct answer: 4. All of above

Explanation: Low-pressure receptors are located in the great veins, right and left atria and pulmonary vesselsThey monitor the fullness of vascular system, and thus mainly respond to volume changesRef: Medical Physiology Indu Khurana 2015 edition page No:548